Percentage of glutaraldehyde used -
1. 1%
2. 2%
3. 3%
4. 4%

Correct answer: 2. 2%

Explanation: 2% glutaraldehyde is standard use in sterilization method Table 3.2 commonly used concentaion of disinfectant REF:Ananthanarayan & Panicker's Textbook of Microbiology 9th edition pg no:37